The culture media for fungus is:
1. Tellurite medium
2. NNN medium
3. Chocolate agar
4. SDA

Correct answer: 4. SDA

Explanation: Ans. is 'd' i.e., SDA* Sabouraud's dextrose agar media is comprised enzymatic digest of casein and animal tissues which provide a nutritious source of amino acids and nitrogenous compounds for the growth of fungi and yeasts. Dextrose is the fermentable carbohydrate incorporated in high concentration as a carbon and energy source. Low pH (5.6) makes it more selective. Agar is the solidifying agent. Addition of antibiotics like Chloramphenicol and/or tetracycline acts as broad spectrum antimicrobials to inhibit the growth of a wide range of gram-positive and gram-negative bacteria. Gentamicin is added to further inhibit the growth of gram-negative bacteria.* SDA with chloramphenicol (to prevent bacterial contamination) is used in isolation of all fungus.* SDA with chloramphenicol and cycloheximide (to prevent fungal contamination like Aspergillus species and Zygomycetes) is used in isolation of dermatophytes.